P : 0 ratio for FAD is -
1. 3
2. 2.5
3. 1.5
4. 4

Correct answer: 3. 1.5

Explanation: Ans. is 'c' i.e.,1.5The P : 0 ratio is a measure of the number of high energy phosphates (i.e., number of ATP molecules) synthesized per atom of oxygen consumed or per molecule of water is produced.The P : 0 ratio for oxidation of metabolites that yield NADH is 2.5 and the ratio for those that yield FADH2 is 1.5.